SAFE strategy has been developed for the control of:-
1. Onchocerciasis
2. Trachoma
3. Refractive error
4. Ocular trauma

Correct answer: 2. Trachoma

Explanation: WHO has recommended 'SAFE strategy' for global elimination of trachoma:- Surgery. Antibiotic use. Facial cleanliness. Environmental improvement.